Bence jones proteinuria is derived from?
1. Alpha globulins
2. Light chain globulins
3. Gamma globulins
4. Delta globulins

Correct answer: 2. Light chain globulins

Explanation: Ans. (b) Light chain globulins(Ref: R 9th/pg 598-602)Excretion of light chains in the urine has been referred to as Bence Jones proteinuria.Light chains includes k and l (kappa and lambda)